Organophosphorus insecticides are all, except:
1. Chlorpyriphos
2. Gardona (tetrachlorvinphos)
3. Dimethoate
4. Diethyltoluamide (DEET)

Correct answer: 4. Diethyltoluamide (DEET)

Explanation: Ans. Diethyltoluamide (DEET)